A 6-year-old boy is admitted to the hospital with coughing and dyspnea. During taking of the history he complains that it feels like there is glass in his lungs. Auscultation reveals abnormal lung sounds. The abnormal lung sounds are heard most clearly during inhalation with the scapulae abducted. Which of the following form the borders of a triangular space where one should place the stethoscope in order to best hear the lung sounds?
1. Latissimus dorsi, trapezius, medial border of scapula
2. Deltoid, levator scapulae, trapezius
3. Latissimus dorsi, external abdominal oblique, iliac crest
4. Quadratus lumborum, internal abdominal oblique, inferior border of the twelfth

Correct answer: 1. Latissimus dorsi, trapezius, medial border of scapula

Explanation: The region bounded by the upper border of the latissimus dorsi, the lateral border of the trapezius, and the medial border of the scapula is known as the triangle of auscultation. Lung sounds can be heard most clearly from this location because minimal tissue intervenes between the skin of the back and the lungs. The deltoid, levator scapulae, and trapezius do not form the borders of the "triangle of auscultation." The latissimus dorsi, external abdominal oblique, and iliac crest form the border of Pettit's inferior lumbar triangle. The quadratus lumborum, internal abdominal oblique, and inferior border of the twelfth rib form the border of the Grynfeltt's superior lumbar triangle. The rectus abdominis, inguinal ligament, and inferior epigastric vessels form the border of the Hesselbach triangle. Petit, Grynfeltt, and Hesselbach's triangles are common sites for hernias.